The side effect of clomiphene because of which its use should be immediately stopped:
1. Hot flashes
2. Multiple pregnancy
3. Terato genecity
4. Visual symptoms

Correct answer: 4. Visual symptoms

Explanation: Ans. is d, i.e. Visual symptomsRemember: For clomiphene* M/C side effect of clomiphene- Menopausal symptom-hot flashes- Ovarian cyst formation* Side effect for which its use should be immediately stopped -- visual symptoms* Most dreaded side effect- OHSS* Chances of OHSS =<1%* Chances of multiple pregnancy -* <10%(5-8%)* Maximum dose =100mg* Maximum duration of use = 12 months.